All of the following cranial nerves contain somatic efferent fibres except:
1. Trochlear
2. Facial
3. Abducens
4. Occulomotor

Correct answer: 2. Facial

Explanation: Facial nerve contains special branchial efferents, not somatic efferents